Which of the following defines hematocrit:
1. Number of erythrocytes in blood
2. Percentage of the blood, by volume, occupied by erythrocytes
3. Ratio of erythrocytes to leucocytes
4. Ratio of erythrocytes to all blood cells

Correct answer: 2. Percentage of the blood, by volume, occupied by erythrocytes

Explanation: Ans. B i.e. Percentage of the blood, by volume, occupied by erythrocytesHematocritIt is also known as packed cell volume (PCV) or erythrocyte volume fraction (EVF)It is the volume percentage (%) of red blood cells in bloodIt is normally about 45% for men and 40% for women.